True about dentition -
1. Hypothyroidism causes delayed dentition
2. Premolar is not seen in primary dentition
3. 3rd molar is the last to appear in secondary dentition
4. All

Correct answer: 4. All

Explanation: Ans. is 'a' i.e., Hypothyroidism causes delayed dentition; 'b' i.e., Premolar is not seen in primary dentition; 'c' i.e., 3rd molar is the last to appear in secondary dentition